Macrocytic anemia is noted with all of the following except
1. Phenytoin
2. Methotrexate
3. Pyrimethamine
4. Ciprofloxacin

Correct answer: 4. Ciprofloxacin

Explanation: Except ciprofloxacin all the other three given drugs induce folate deficiency and result in macrocytic anemia. From medical pharmacology padmaja 4th edition Page no 331